All are true about Brunner's gland except:
1. It lies in duodenum only
2. It lies in duodenum & ileum
3. It secretes bicarbonate rich fluid
4. It secretions neutralizes acidic pH of stomach

Correct answer: 2. It lies in duodenum & ileum

Explanation: Ans. B. It lies in duodenum & ileum Brunner's Gland:Sub-mucous glands & are tortuous, long & penetrate the muscularis mucosaDrains into the crypts of lieberkuhn.Numerous in first part of duodenum (duodenal cap or bulb) meager below the common opening of bile & pancreatic ducts.Ingestion of fatty food or secretin injection produces large volume of thick alkaline mucous secretion which probably helps to protect the duodenal mucosa from the gastric acid.In the duodenum there are in addition the small, coiled acinotubular duodenal glands (Brunn er's glandsFunctions:Protects the duodenal wall from digestion by the highly acidic gastric juice emptying from the stomach.Mucus contains a large excess of bicarbonate ions, which add to the bicarbonate ions from pancreatic secretion and liver bile in neutralizing the hydrochloric acid entering the duodenum from the stomach"